Deep transverse arrest is commonly associated with which of the following types of pelvis?
1. Platypelloid
2. Android
3. Anthropoid
4. Gynecoid

Correct answer: 2. Android

Explanation: Ans. b (Android) (Ref. Textbook of Obstetrics D.C. Dutta 6th/pg. 372)DEEP TRANSVERSE ARREST (DTA)Etiology of DTA# Android pelvis# Weak uterine contraction# Lax pelvic floorTreatment of DTA# Ventouse is ideal# Application of forceps can be useful# LSCS, if big baby, inadequate pelvis# In about 20% patients' normal delivery can occur.